Plague is transmitted by all EXCEPT?
1. X. Cheopsis
2. X. Astia
3. Pulexirritans
4. Culex

Correct answer: 4. Culex

Explanation: Ans. (d) CulexRef : K. Park 23rd ed. / 292-93* The commonest and most effective vector of plague is rat flea x.cheopsis.* Others are X.Astia, X.Brasiliensis and Pulexirritans.* Culex is a vector of lymphatic filariasis and Japanese encephalitis (culex tritaeniorhynchus).